Troponin-T is a marker of:
1. Renal diseases
2. Muscular dystrophy
3. Cirrhosis of liver
4. Myocardial infarction

Correct answer: 4. Myocardial infarction

Explanation: . Myocardial infarction